Which of the following is not an indication for bar clasp arm
1. When a small degree of undercut exists in cervical third of abutment tooth
2. On abutment teeth for tooth supported partial denture
3. Soft tissue undercuts
4. Distal extension bases

Correct answer: 3. Soft tissue undercuts

Explanation: The specific indications for using a bar clasp arm are

When a small degree of undercut (0.01 inch) exists in the cervical third of the abutment tooth, which may be approached from a gingival direction.
On abutment teeth for tooth supported partial dentures or tooth supported modification areas .
In distal extension base situations.
In situations, where esthetics is a concern.